which cranial nerve is present arround the origin of occipital artery of lower end of sternocleidomastoid muscle ?
1. spinal accesory cranial nerve
2. superior laryngeal nerve
3. hypoglossal nerve
4. petrosal nerve

Correct answer: 3. hypoglossal nerve

Explanation: hypoglossal nerve hooks arround the origin of occipital artery of lower end of sternocleidomastoid muscle ref : bd chaursia